Drugs used in GTCS is/are: a) Ethosuximide b) Sodium–valproate c) Lamotrigine d) Propofol
1. bc
2. ab
3. ad
4. cd

Correct answer: 1. bc